Most important factor for a test to be a good screening test is ?
1. Specificity
2. Sensitivity
3. Reliability
4. Predictive value

Correct answer: 2. Sensitivity

Explanation: Ref : Parks 23rd edition pg 138 An ideal screening test should have 100 % sensitivity.